Type D personality are recently found to be at risk of developing:
1. Coronary artery disease
2. Depression
3. Schizophrenia
4. Mania

Correct answer: 1. Coronary artery disease

Explanation: A i.e. Coronary artery disease - Type A personality (behavior pattern) includes competitiveness, time urgeny, and hostilityQ.- Type D (distressed) personality is not only a risk factor for development of ischemic heart disease, it also leads to worse prognosis following a myocardial infarctionQ.Type - A Personality- It is originally characterized by competitiveness, time urgency, hostility and angerQ (last two components are pathogenic). Ambitiousness, aggressiveness, competitiveness, impatience, muscle tenseness, alertness, rapid and emphatic vocal style, irritation, and cynicism are other features.- Are hard working workaholics who deny emotional or physical vulnerability. Their self esteem is dependent on achievement i.e. they are impatient, achievement oriented people.- These individuals show a greater physiological reactivity (eg B P, heart rate) and are more likely to get engaged in unhealthy habbits eg, drinking alcohol, smoking. And if these individuals smoke they inhale smoke for a longer time. Associated with significantly high risk of coronary heart disease.Type B PersonalityIt includes carefree, easy going, relaxed individualsType D Personality- It includes people with distressed personality who suffer from high degree of emotional distress (negative emotions/affectivity) but they consciously suppress their feelings (=social inhibition).Type D personality is both a prognostic and risk factor for IHDQ. These persons have worse prognosis after MI with an - 4 times increased risk of sudden cardiac death, recurrent MI & mortality.- These persons have an impaired/poor quality of life and are more likely to experience anxiety & depression (mood swings)Q.* Risk factor for cardiac disase include major depressive disorder, type D personality and type A personalityQ (esp anger & hostality)